Stool specimen is transported in
1. Cary blair medium
2. Blood agar
3. Selenite F broth
4. Compy BAP medium

Correct answer: 1. Cary blair medium

Explanation: Transport media for stool specimen are
a. Cary-Blair medium
b. Buffered glycerol saline
c. Stuart medium

 Inoculate media for routine stool culture are

a. Blood agar
b. MacConkey agar
c. Hektoen enteric HE (agar)
d. Selective media for campylobacter: Campy BAP, skirrow
e. Selenite F broth or GN Broth
f. Xylose-lysine deoxycholate agar (XLD agar)

 For specific situations, selective media are used

i. Vibrio: TCBS agar or alkaline peptone broth.
ii. Yersinia: Cefsulodin-Irgasan-Novobiocin (CIN) agar or Phosphate Buffered Saline (PBS) broth.
iii. E.coli 0157: H7 Sorbitol-MacConkey agar